Proton pump inhibitors are most effective when they are given -
1. After meals
2. Shortly before meals
3. Along with H2 blockers
4. During prolonged fasting periods

Correct answer: 2. Shortly before meals

Explanation: Ans. is 'b' i.e., Shortly before meals o Bioavailibility of all PPIs is reduced by food; they should be taken in empty stomach, followed 1 hour later by a meal to activate 1-1+ ATPase and make it more susceptible to the PPI. o PPIs should be administered approximately 1 hour before a meal (usually breakfast) so that the peak serum concentration coincides with the maximal activity of proton pump secretion.